Most important nerve for cremastric reflex -
1. Genitofemoral nerve
2. Femoral nerve
3. Ilioinguinal nerve
4. Posterior scrotal nerve

Correct answer: 1. Genitofemoral nerve

Explanation: Ans. is 'a' i.e., Genitofemoral nerve o Afferent of cremasteric reflex - Femoral branch of genitofemoral nerveo Efferent of cremasteric reflex - Genital branch of genitofemoral nerve.